The inheritance pattern of familial Retinoblastomas is:
1. Autosomal recessive
2. Autosomal dominant
3. X-linked dominant
4. X-linked recessive

Correct answer: 2. Autosomal dominant

Explanation: . Autosomal dominant